The most commonly practiced operative procedure for a perforated duodenal ulcer is -
1. Vagotomy and pyloroplasty
2. Vagotomy and antrectomy
3. Vagotomy and perforation closure
4. Graham's omentum patch repair

Correct answer: 4. Graham's omentum patch repair

Explanation: Ans. is 'd' i.e., Graham's omentum patch repair